Rough endoplasmic reticulum is the site of synthesis for
1. Protein
2. Cholesterol
3. Carbohydrate
4. Fat

Correct answer: 1. Protein

Explanation: Rough endoplasmic reticulum is concerned with Protein synthesis*
Initial folding of the polypeptide chains with the formation of disulfide bonds Smooth endoplasmic reticulum is concerned with Steroid synthesis
* Detoxication processes As sarcoplasmic reticulum plays important role in skeletal and cardiac muscle contraction *